A pilot whose plane is about to crash, spends five minutes explaining the technical details of the engine malfunction to his copilot. The defense mechanism that the pilot is using is.
1. Repression
2. Sublimation
3. Dissociation
4. Intellectualization

Correct answer: 4. Intellectualization

Explanation: Excessive use of intellectual processes to deal with unpleasant emotions is called as intellectualisation.